Characteristic infection of Nocardia asteroides is:
1. Diarrhea
2. Secondary dissemination to liver
3. Brain abscess
4. Colonic diverticula

Correct answer: 3. Brain abscess

Explanation: Ans. (c) Brain abscess Subacute abscess is the typical extrapulmonary manifestation of nocardia, the most common site of dissemination is brain. Nocardial brain abscess are usually supratentorial, multiloculated, may be single or multiple. Brain abscess tend to burrow into ventricles and may extend out into subarachnoid space. Otherwise Meningitis is uncommon and is usually due to spread from nearby abscess. Remember: Other common site of dissemination skin, kidney, bone, muscle.